Injury to cervical sympathetic trunk produces Horner's syndrome, that includes all, except
1. Anhydrosis
2. Enopthalmos
3. Ptosis
4. Mydriasis

Correct answer: 4. Mydriasis

Explanation: Injury to cervical Symphathetic trunk (which are formed by T1 to T4 fibres of spinal cord) produces Horner's syndrome. It is characterized by
• ptosis (dropping of the upper eyelid)
• miosis (constriction of pupil)
• anhydrosis (loss of sweating)
• enophthalmos (retraction of eye ball)